The time interval between reception of infection and maximum infectivity of the host is known as
1. Generation time
2. Serial interval
3. Latent period
4. Median incubation period

Correct answer: 1. Generation time